Dimorphic carcinoma is -
1. Papillary carcinoma breast
2. Follicular carcinoma thyroid
3. Gastric adenocarcinoma
4. Endometrial carcinoma

Correct answer: 1. Papillary carcinoma breast

Explanation: Answer- A. Papillary carcinoma breastDimorphic papillary carcinoma is a term that has been use to refer to papillary carcinoma that has 2 type of neoplastic cells, with second population of cells showing pale cytoplasm.